First symptom in tuberculous cord compression is-
1. Sensory change
2. Decrease tendon reflex
3. Spasticity
4. Lower limb weakness

Correct answer: 3. Spasticity

Explanation: Tubercular paraplegia is usually spastic to start with.